Erythromycin is given in intestinal hypomotility because:
1. It increases bacterial count
2. It decreases bacterial count
3. It binds to adenylyl cyclase
4. It binds to motilin receptors

Correct answer: 4. It binds to motilin receptors

Explanation: Erythromycin stimulates motilin receptors in the g.i.Lthereby induces gastric contractions, hastens gastric emptying and promotes intestinal motility. ESSENTIALS OF MEDICAL PHARMACOLOGY